Arch of aorta lies at what vertebral level -
1. T5
2. T4
3. T6
4. T2

Correct answer: 2. T4

Explanation: Ans. is 'b' i.e., T4 o Sternal angle of Louis is at T4 level. At the same level arch of aorta begins, arch over and ends at the same levelStructureCervico thoracic levelTracheal bifurcationT4-T5Arch of aortaBegins and ends at T4Xiphoid processT9Splenic axisAlong 10th ribCarotid bifurcation, Hyoid boneC3Upper border of thyroid cartilageC4Level of cricoids cartilageC6 Lumbar levelCeliac trunkT12-L1Superior mesenteric arteryLITranspyloric planeLower border of L1Termination of spinal cordLower border of LI in adults and upper border of L3 in newbornPancreasL1-L2Left renal veinL2Inferior mesenteric arteryL3UmbilicusL3Aortic bifurcationL4Transtubercular planeL5Common iliac ends atL5-S1